Not a radiological feature of Ankylosing spondylitis
1. Dagger sign
2. Trolley track sign
3. Romanus sign
4. Fish mouth vertebrae

Correct answer: 4. Fish mouth vertebrae